Fracture of teeth and some bruises around mouth is:
1. Simple injury
2. Grievous injury
3. Dangerous injury
4. Assault

Correct answer: 2. Grievous injury

Explanation: Ans. Grievous injury